Which is not used for narcoanalysis
1. Scopolamine
2. Hyoscine
3. Thiopentone
4. Ketamine

Correct answer: 4. Ketamine

Explanation: Drugs used for narcoanalysis are- Thiopentone (Sodium Pentothal) Amobarbital (Sodium amytal) Scopolamine (Hyoscine) Reference: Kaplon and sadock, 11 th edition, synopsis of psychiatry, 11 th edition, pg no. 945